True about blood supply of scaphoid-
1. Mainly through ulnar artery
2. Major supply from ventral surface
3. Major supply from dorsal surface
4. Proximal supply in antegrade fashion

Correct answer: 3. Major supply from dorsal surface

Explanation: Ans. is 'c' i.e., Major supply from dorsal surfaceo Major blood supply (70-80%) of scaphoid comes through dorsal surface via dorsal branches of radial artery,o These dorsal vessels enter the scaphoid at or just distal to waist area and supply the proximal pole in retrograde fashion.o Proximal 2/3 rd to 3/4 scaphoid is supplied by these dorsal vesselso 20-30% of blood supply comes through palmar and superficial palmar branches of radial artery,o Distal 1/3 rd or 1/4 th and distal tubercle are supplied by these palmar vessels.